All of the following structures pass through the inguinal canal in females, Except -
1. Ilioinguinal nerve
2. Round ligament of uterus
3. Lymphatics from the uterus
4. Inferior Epigastric Artery

Correct answer: 4. Inferior Epigastric Artery

Explanation: Content of inguinal canal
-        Ilioinguinal nerve
-       Spermatic cord in male
-        Round ligament of uterus in female